a patient had psychotic symptoms and was started on haloperidol and clonazepam. he was agitated and hence needed both oral and intramuscular injections.he developed fever, rigidity, confusion, with elevated CPK and liver enzymes . he was brought to the emergency. what is the probable diagnosis
1. neuroleptic malignant syndrome
2. malignant catatonia
3. serotonin syndrome
4. geganhalten

Correct answer: 1. neuroleptic malignant syndrome

Explanation: Neuroleptic malignant syndrome is psychiatric emergency CLINICAL CRITERIA * 106:F * Abrupt onset * Any of the two * Diaphoresis * Tachycardia Labile bp ETIOLOGY Introduction of Dopamine antagonists or Abrupt Discontinuation Of an antipsychoticRef. kaplon and sadock, synopsis of psychiatry, 11 th edition, pg no.925